A baby is born with a penis, a scrotum with no testes, no vagina, and XX chromosomes. This condition is referred to as hermaphroditism. What could cause this abnormality?
1. Abnormally high levels of human chorionic gonadotropin (HCG) production by the trophoblast cells
2. The presence of a testosterone-secreting tumor in the mother's right adrenal gland
3. Abnormally high levels of LH in the maternal blood
4. Abnormally low levels of testosterone in the maternal blood

Correct answer: 2. The presence of a testosterone-secreting tumor in the mother's right adrenal gland

Explanation: A very high concentration of testosterone in a female embryo will induce formation of male genitalia. An adrenal tumor in the mother that synthesizes testosterone at a high, uncontrolled rate could produce the masculinizing effect